MEN1 tumour suppressor gene is associated with all of the following, except:
1. Menin
2. JunD
3. KMT2A (MLL)
4. GDNF (glial-derived neurotrophic factor)

Correct answer: 4. GDNF (glial-derived neurotrophic factor)

Explanation: MEN-1 syndrome Caused by germline mutations in the MEN1 tumor suppressor gene, which encodes a protein called menin. The dichotomy in menin function is best exemplified in the interactions of menin with two oncogenic transcription factors: JunD Mixed lineage leukemia (MLL)/KMT2A protein. RET proto-oncogene in MEN-2 syndrome encodes a receptor tyrosine kinase that binds glial-derived neurotrophic factor (GDNF).